Oncocytic carcinoma arises from-
1. Perivascular
2. Glomerulus
3. Loop of henle
4. Collecting duct

Correct answer: 4. Collecting duct

Explanation: Oncocytoma is a benign epithelial tumour composed of large eosinophilic cells having small, round,benign-appearing nuclei that have large nucleoli. It is thought to arise from the intercalated cells of collecting ducts. Ultrastructurally the eosinophilic cells have numerous mitochondria. From Pathologic basis of disease Robbins 8th edition pg no:964